What is the sequence which a retrovirus follows on entering a host cell?
1. RNA - DNA - RNA
2. RNA - DNA
3. DNA - RNA
4. DNA - RNA - DNA

Correct answer: 1. RNA - DNA - RNA

Explanation: Ans. is 'a' i.e., RNA - DNA - RNA(Ref: Ananthanarayan, 9th/e, p. 574 and 8th/e, p. 570)* When HIV infects a cell, the viral RNA is transcribed by reverse transcriptase, first into single stranded DNA and then to double stranded DNA (Provirus).* Provirus is integrated into host cell chromosome.* This provirus initiates viral replication by directing synthesis of viral RNA, in response to viral promoters.